In ORS, the effect of glucose on sodium absorption is:
1. Increase in sodium absorption
2. Decrease in sodium absorption
3. Variable effect on sodium absorption
4. No effect on sodium absorption

Correct answer: 1. Increase in sodium absorption

Explanation: Ans. A: Increase in sodium absorption Oral fluid therapy is based on the observation that glucose given orally enhances the intestinal absorption of salt and water, and is capable of correcting the electrolyte and water deficit.